Maximum radio opaque shadow in ovary is seen in
1. Teratoma
2. Dysgerminoma
3. Mucinous cystadenoma
4. Granulosa cell tumor

Correct answer: 1. Teratoma

Explanation: A i.e. Teratoma In teratoma, there may be presence of tooth & other calcified bodies giving rise to radio-opaque shadows.